Not a feature of TOF ?
1. Boot shaped heart
2. Patent foramen ovale
3. VSD
4. RVH

Correct answer: 2. Patent foramen ovale

Explanation: Ans. is 'b' i.e., Patent foramen ovate